TOC for penicillin resistant gonorrhoea –
1. Ciprofloxacin
2. Ceftriaxone
3. Streptomycin
4. Erythromycin

Correct answer: 2. Ceftriaxone

Explanation: Ceftriaxone is the DOC for gonococcal infections